A 30year old woman with family history of hearing loss from her mother's side developed hearing loss which is bilateral, slowly progressive, pure tone audiometry shows the bone conducting hearing loss with an apparent bone conduction hearing loss at 2000Hz. What is the most likely diagnosis
1. Otosclerosis
2. Acoustic neuroma
3. Otitis media with effusion
4. Sigmoid sinus thrombosis

Correct answer: 1. Otosclerosis

Explanation: In Otosclerosis main symptom is the hearing loss which is progressive and bilateral. It is hereditary and in pure tone audiometry, Carhart's notch is seen which is evident in the question. Ref: Diseases of EAR, NOSE and THROAT by PL Dhingra; 6th Edition; Page no.87.